A 30 yrs old gentleman after sustaining road traffic accident present in emergency with BP 100/60 mmHg, Pulse 120 min and C.T. shows splenic laceration at inferior border. after 2 units of blood transfusion, patients conditions are - BP 120/70 mmHg and pulse 84/min; the next line of management is -
1. Laparotomy
2. Splenorrhaphy
3. Continue the conservative treatment and take subsequent measures on monitoring the pt.
4. Splenectomy

Correct answer: 3. Continue the conservative treatment and take subsequent measures on monitoring the pt.